Most common cause of meningitis in renal transplant patients is
1. Listeria
2. Streptococcus
3. Neisseria
4. Legionella

Correct answer: 1. Listeria

Explanation: Listeria monocytogenesDistinguishing Features* Small gram-positive rods* Beta-hemolytic, nonspore-forming rod on blood agar, CAMP positive* Tumbling motility in broth; actin jet motility in cells* Facultative intracellular parasite* Cold growth* Transplacental--granulomatosis infanti-septica* Neonatal septicemia and meningitis (third most common cause)* Meningitis in renal transplant or cancer patients (most common cause)Ref: Jawetz; 27th edition; Page no: 197